The cataract which liquefies at an advanced stage causing lens material to liquefy and settle at the bottom is called:
1. Intumescent cataract
2. Coralliform cataract
3. Morgagnian cataract
4. Cupuliform cataract

Correct answer: 3. Morgagnian cataract

Explanation: Morgagnian Cataract: Cataract liquefies after maturity and settles at the bottom. Terms Morgagnian Cataract: Cataract liquefies after maturity and settles at the bottom. Small brownish fluid settles at the bottom. Mature cataract: Whole cortex becomes opacified and there is no fundal glow on retroillumination. Intumescent Cataract: Mature or diabetic cataract swells after maturation and AC becomes shallow.